Clubfoot features are all except?
1. Forefoot adduction
2. Eversion at sub-talar joint
3. Forefoot adduction at mid-tarsal joint
4. Plantar flexion of ankle

Correct answer: 2. Eversion at sub-talar joint

Explanation: Ans. is 'b' i.e., Eversion at sub-talar joint CTEV is the commonest and most important congenital deformity of the foot. The deformity consists of following elements :- Equinus, i.e. Plantar flexion at ankle joint (tibiotalar joint) Inversion of foot at subtalar joint (talocalcaneal joint) Forefoot adduction, at mid-tarsal joints, especially at talo-navicular joint. Sometimes forefoot cavus, i.e. excessive arching of the foot at mid-tarsal joints.